All are true about Miller Fisher syndrome except?
1. Areflexia without weakness
2. Ophthalmoplegia with Pupillary paralysis
3. Anti-GQ lb antibodies present
4. Plasmapheresis is preferred over IVIG

Correct answer: 4. Plasmapheresis is preferred over IVIG

Explanation: Miller Fisher Syndrome Ophthalmoplegia with pupillary weakness Rapidly evolving ataxia Areflexia of limbs without weakness Anti-GQ lb antibodies Electro-diagnosis- Axonal or demyelinating disorder IVIG is preferred over plasmapheresis in patients of MFS